Dapsone is used in the treatment and therapeutic diagnosis of:
1. Leprosy
2. Dermatitis herpetiformis
3. Acne vulgaris
4. Lupus vulgaris

Correct answer: 2. Dermatitis herpetiformis

Explanation: ANSWER: (B) Dermatitis herpetiformisREF: Journal of Investigative Dermatology Symposium Proceedings (2004) 9, 47-51 (http:/./ www.nature.com/jidsp/journal/v9/nl/full/5640132a.html) Therapy of Skin Diseases, By Yoshiki Miyachi, page 433The responsiveness of DH to dapsone:Responsiveness to dapsone was once considered a diagnostic criterion for DH. A number of other dermatoses clearly respond to dapsone, howTever and the list of dapsone-responsive dermatoses includes all of those listed in table given below. One would think that dapsone's mechanism of action would be specifically related to IgA antibody and possibly related to neutrophil chemotaxis, but the exact mechanism by which dapsone is effective in these dermatoses has not been established. It is known that dapsone has no effect on antibody or complement deposition.